A 28-year-old man begins a program of vigorous body building. After 6 months, his biceps would be expected to exhibit which of the following adaptive cellular changes?
1. Hyperplasia of type I fibers
2. Hyperplasia of type II fibers
3. Hypertrophy of type I fibers
4. Hypertrophy of type II fibers

Correct answer: 4. Hypertrophy of type II fibers

Explanation: Hypertrophy of type II fibers. Stimulation of type II fibers elicits a faster, shorter, and more powerful contraction than occurs in type I fibers. Type II muscle fibers are suitable for rapid contractions of brief duration and react to strength training with hypertrophy Androgenic steroids also induce hypertrophy of type II fibers, and disuse of the muscle results in their selective atrophy. Skeletal muscle does not respond to an increased workload by increasing the number of fibers (hyperplasia).Diagnosis: Skeletal muscle hypertrophy